Most common cause of hemolytic uremic syndrome is:
1. E. coli
2. Shigella
3. Salmonella
4. Pseudomonas

Correct answer: 1. E. coli

Explanation: a. E. coli(Ref: Nelson's 20/e p 2508-2510, Ghai 8/e p 492-493)Etiology of HUS: HUS usually follows an episode of acute gastroenteritis (less commonly, upper respiratory infection).The organisms responsible for HUS are:E. coli (most common) esp EHEC (shiga toxin producing)Salmonella; Shigella dysenteriaeStreptococcus pneumoniaeBartonella; CampylobacterViruses (Coxsackie virus, echovirus, influenza, varicella, HIV, EBV)